Cocket & Dodd's operation is performed for which one of the following?
1. Sapheno femoral flush ligation
2. Subfascial ligation
3. Deep vein thrombosis
4. Diabetic foot

Correct answer: 2. Subfascial ligation